Found in post-operative period, fungal infection of brain is found treated with:
1. Amphotericin-B
2. Gentian violet
3. 2% salicylic acid
4. Gentamycin

Correct answer: 1. Amphotericin-B

Explanation: Amphotericin-B